Complications of sphenoid sinus surgery are all except:
1. CSF leak
2. Optic nerve injury
3. Lateral rectus palsy
4. Orbital emphysema

Correct answer: 4. Orbital emphysema

Explanation: (d) Orbital emphysema(Ref. Cummings, 6th ed., 778)Orbital complications will follow maxillary, ethmoid and frontal sinus surgeries due to close proximity.